Laser used in laryngeal work is
1. Argon
2. Nd:Yag
3. Holmium
4. CO2

Correct answer: 4. CO2

Explanation: CO2 laser:- CO2 laser is used in laryngeal surgery to excise vocal nodules, polyps, cysts, granulomas or juvenile laryngeal papilloma. Also used in case of leukoplakia, T1 lesion of vocal cord or localized leisions of supraepiglottis and infraglottis. 1) CO2 laser has wavelength 10,400nm 2) It can cut pericisely (0.3 mm percision), coagulate bleeders and vaporise tissues 3) Besides laryngeal surgery it is used in oropharyngeal surgery to excise benign or malignant lesions and in plastic surgery. Ref:- Dhingra; pg num:-357